Which antibody is commonly elevated in walder strom macroglobinemia ?-
1. IgG
2. IgA
3. IgM
4. IgD

Correct answer: 3. IgM

Explanation: Waldenstrom's macroglobulinemia (WM), also known as lymphoplasmacytic lymphoma, is a type of cancer affecting B cells, a type of white blood cell. The main attributing antibody is immunoglobulin M (IgM). WM is an "indolent lymphoma" (i.e., one that tends to grow and spread slowly). It is a type of lymphoproliferative disease, which shares clinical characteristics with the indolent non-Hodgkin lymphomas.